In which of the following conditions bilateral contracted kidneys are characteristically seen -
1. Amyloidosis
2. Diabetes mellitus
3. Rapidly progressive (crescentic) glomerulonephritis
4. Benign nephrosclerosis

Correct answer: 4. Benign nephrosclerosis